Primary prevention-a) Marriage counselingb) Early diagnosis and treatmentc) Pap smeard) Self breast examinatione) Immunization
1. da
2. ae
3. dea
4. ac

Correct answer: 2. ae

Explanation: Immunization and marriage counseling (a type of health education) are primary level of prevention.
Pap smear is a screening test for cervical cancer and self breast examination is a screening test for breast lump both are secondary level of prevention.
Early diagnosis and treatment is a secondary level of prevention.